The commonest malignant tumour of the lids is
1. Basal-cell carcinoma
2. Squamous cell carcinoma
3. Adenocarcinoma
4. Melanocarcinoma

Correct answer: 1. Basal-cell carcinoma

Explanation: MALIGNANT TUMOURS Basal-cell carcinoma It is the commonest malignant tumour of the lids (90%) usually seen in elderly people. It is locally malignant and involves most commonly lower lid (50%) followed by medial canthus (25%), upper lid (10-15%) and outer canthus (5-10%). Clinical features: It may present in four forms: Noduloulcerative basal cell carcinoma is the most common presentation. It starts as a small nodule which undergoes central ulceration with pearly rolled margins. The tumour grows by burrowing and destroying the tissues locally like a rodent and hence the name rodent ulcer. Ref:- A K KHURANA; pg num:-360